Scales used for assessing soeio-economie status of populations are the following except?
1. Modified udai Pareek scale
2. Modiefied Kuppuswamy scale
3. Like scale
4. BG Prasad scale

Correct answer: 3. Like scale

Explanation: Ans. is 'c' i.e., Like scale